Most common side effect seen with bisphosphonates
1. Cholelithiasis
2. Constipation
3. Erosive esophagitis
4. Osteonecrosis

Correct answer: 3. Erosive esophagitis

Explanation: -Bisphosphonates like alendronate and risedronate are used for prophylaxis and treatment of osteoporosis. -Esophagitis is their distinctive side effect. -Precaution is to be taken while taking the drug is to take it with full glass of water and in a sitting/ standing position.